Pyometra is a complication associated with all of the following conditions except :
1. Carcinoma vulva
2. Carcinoma cervix
3. Carcinoma endometrium
4. Pelvic radiotherapy

Correct answer: 1. Carcinoma vulva

Explanation: Ans. is a i.e. Carcinoma vulva